Symphysiotomy is indicated in:
1. Contraction of brim
2. Contraction of cavity
3. Contraction of outlet
4. All of these

Correct answer: 3. Contraction of outlet

Explanation: Symphysiotomy is indicated ideallywhen outlet contraction of pelvis is present. It is the operation designed to enlarge pelvic capacity by dividing symphysis pubis